Pipkin fracture is defined as -
1. Head of radius fracture
2. Head of femur fracture
3. Fracture dislocation of ankle
4. Fracture neck of femur

Correct answer: 2. Head of femur fracture

Explanation: Pipikin's classification of femoral head fracture
Type I: Femoral head fracture inferior (caudal) to fovea
Type II: Femoral head fracture superior (cephalad) to fovea
Type III: Femoral head fracture with associated femoral neck fracture
Type IV : Type I, II or III with associated acetabular fracture